Perinatal mortality rate include which of the following?
1. Abortions + Still birth + early neonatal deaths
2. Still birth + early neonatal deaths
3. Abortions + early neonatal deaths
4. Deaths up to 42 days after birth

Correct answer: 2. Still birth + early neonatal deaths

Explanation: perinatal mortality rates include both late fetal deaths (still births) and early neonatal deaths. PMR= late fetal deaths +early neonatal deaths in one year/live births +late foetal deaths*1000 Parks textbook of preventive and social medicine.K Park. Edition 23.Pg no: 563